The 'String of beads' or sausage appearance of the renal artery is due to :
1. Fibromuscular hyperplasia
2. Subadventitial fibroplasia
3. Medial fibroplasia with aneurysm
4. Outercoat fibroplasia with aneurysm

Correct answer: 3. Medial fibroplasia with aneurysm

Explanation: String of beads or sausage appearance is seen in medial fibroplasia. It is produced by the stenotic segments where media is replaced by collagen with intervening aneurysms at the site of medial weakening. Medial fibroplasia with aneurysms is the most frequent and distinctive form of fibromuscular dysplasia. It typically involves the distal two thirds of the renal artery and may also affect segmental arteries within the kidney. Paramedian fibroplasia is the second most common form of fibromuscular dysplasia. It is characterized by an irregular pattern of fibrosis that replaces the outer one half to two thirds of the media by fibrous tissue. Ref: Diagnostic Radiology : Advances in Imaging By Manorama Berry, page 251, Urologic Surgical Pathology By David G. Bostwick, page 37.